Struma ovarii is
1. Teratoma of ovary
2. Thyroid gland tumor in pregnancy
3. May present as hypothyroidism
4. Ovarian stromal hyperplasia

Correct answer: 1. Teratoma of ovary

Explanation: Struma ovarii is the most common type of specialised teratoma.
It is composed of mature thyroid tissue and may present as hyperthyroidism.